A 60 year old male comes to casuality with acute retention of urine since 12 hours. On examination there was distended bladder. His son gives a history of taking some drug by the pateint. Since 2 days as he is suffering from depression. The most likely drug is
1. CPZ
2. Amitryptiline
3. Haloperidol
4. Pimozide

Correct answer: 2. Amitryptiline

Explanation: B i.e. Amitryptiline